Erythropoiesis is promoted by all of the following except-
1. ACTH
2. Thyroxine
3. Oestrogen
4. Prolactin

Correct answer: 3. Oestrogen